During bilateral adrenalectomy, intra-operative dose of hydrocortisone should be given after:
1. Opening the abdomen
2. Ligation of left adrenal vein
3. Ligation of right adrenal vein
4. Excision of both adrenal glands

Correct answer: 4. Excision of both adrenal glands

Explanation: Patients undergoing surgical treatment of endogenous hypercortisolism require glucocorticoid replacement. Steroids are not given pre-operatively because these patients are already hypercortisolemic. Instead hydrocortisone 100 mg IV is given after the removal of second hyperplastic adrenal gland.